Not Used for iron poisoning?
1. Penicillamine
2. Desferrioxamine
3. Gastric lavage
4. Magnesium hydroxide

Correct answer: 1. Penicillamine

Explanation: Management of iron poisoning * Gastric lavage with normal saline * Activated charcoal * Whole bowel irrigation may be of benefit because it will rapidly and effectively clean the gut. For bowel irrigation, polyethylene glycol lavage solution given at the rate of 30 to 40 ml/kg/hour for 4 to 8 hours. * Chelation - desferrioxamine is used as specific antidote. Desferrioxamine is given when there are serious clinical symptoms or when serums iron level > 500 mg/dL is measured within 8 hours of ingestion. Desferrioxamine is given as continuous intravenous infusion in normal saline at 15 mg/kg/hour. Each 100 mg of desferrioxamine binds to 9 mg of elemental iron producing ferrio-xamine complex, which gets excreted by kidney REF;THE SYNOPSIS OF FORENSIC MEDICINE:KS NARAYANA REDDY;28th EDITION